Scotty Dog Sign is seen in:
1. Spondylolysis
2. Fracture femur
3. Sarcoidosis
4. Osteosarcoma

Correct answer: 1. Spondylolysis

Explanation: Ans. A. SpondylolysisOn the oblique view of the lumbar spine, the outline of a dog can be seen. The parts of the dog are as follows: the transverse process-the nose; the pedicle-the eye; the pars interarticularis-the neck; the superior articular facet-the ear; the inferior articular facet-the front leg. A break in the neck of the dog, or a dog collar, corresponds to a fracture in the region of the pars interarticularis, which is specific for spondylolysis. It is important to recognize as it is a cause of low back pain. A. Normal. B. L5 Pars defect.